Upper segment to lower segment ratio at birth is ___________
1. 1
2. 1.3
3. 1.5
4. 1.7

Correct answer: 4. 1.7

Explanation: The U/L ratio (upper body segment :lower body segment) at birth is about 1.7; at age 3 years it is 1.3; at greater than 7 years, it is 1.0 with the upper body segment and lower body segment being about equal. Of note, higher U/L ratios are noted in short-limb dwarfism and other bone disorders such as rickets. Reference: GHAI Essential pediatrics, 8th edition